Vertical transmission of hepatitis C is:
1. 5%
2. 10%
3. 25%
4. 50%

Correct answer: 1. 5%

Explanation: The chances of sexual and perinatal transmission have been estimated to be <5%, well below comparable rates for HIV and HBV infections. HCV potentially can be transmitted sexually and perinatally; however, both of these modes of transmission are inefficient for hepatitis C.